A 6-year-old child presents with abnormal twitching of the face during sleep, which is noticed by the mother. EEG shows spikes over the centro temporal area. What is the diagnosis?
1. GTCS
2. Rolandic epilepsy
3. Absence seizure
4. Subtle seizure

Correct answer: 2. Rolandic epilepsy

Explanation: Benign Rolandic epilepsy MC epilepsy in children = Benign Rolandic epilepsy Benign childhood epilepsy with centro temporal spikes presents in children between 2-13 years. Seizures occur in sleep and focal seizures Self-limiting course by adolescence Inter-ictal EEG shows spike over centro temporal or Rolandic area Rx: Carbamazepine